HLA B27 is commonly associated with which of the following:
1. Rheumatic fever
2. Rheumatoid arthritis
3. Osteoarthritis
4. Ankylosing spondylitis

Correct answer: 4. Ankylosing spondylitis

Explanation: Ans. D: Ankylosing Spondylitis HLA-B27 helps in diagnosis of ankylosing spondylitis, Reiter's syndrome and at times anterior uveitis. These diseases are chronic disorders that occur more commonly in men than in women. Basically this blood test is conducted to look for specific protein which is found on the white blood cell's surface. This protein is known as Human Leukocyte Antigen B27 (subtypes B*2701-2724).